A 45-year-old man with a long history of alcohol intake comes into the emergency room with upper gastrointestinal (UGI) bleeding. Urgent endoscopy reveals the following findings. Which of the following is the most likely diagnosis?
1. esophageal varices
2. esophageal carcinoma
3. foreign body
4. tertiary waves

Correct answer: 1. esophageal varices

Explanation: (a) Source: (Kasper, pp. 1863-1864) In esophageal varices, the esophageal folds are thick and tortuous, giving rise to a wormy or worm-eaten appearance. The radiographic picture would vary with the severity of the varices, as well as the distention of the esophagus. When varices are severe, they should be appreciated in any projection. The left anterior oblique projection is most ideal for its demonstration.